Histologic sections from a mass originating from the meninges would most likely reveal
1. Antoni A areas and rare Verocay bodies
2. A whorled pattern and rare psammoma bodies
3. Endothelial proliferation and serpentine areas of necrosis
4. "Fried-egg" appearance of tumor cells

Correct answer: 2. A whorled pattern and rare psammoma bodies

Explanation: Meningiomas arise from arachnoid villi of brain or spinal cord and have a female/male ratio of 3:2. Although they are usually tumors of middle or later life, a small number occur in persons 20 to 40 years of age. They commonly arise along the venous sinuses (parasagittal, sphenoid wings, and olfactory groove). Although meningiomas are benign and usually slowgrowing, some have progesterone receptors and rapid growth in pregnancy occurs occasionally. The rare malignant meningioma may invade or even metastasize. The typical case, however, does not invade the brain, but displaces it, causing headaches and seizures. Histologically, many different patterns can be seen, but psammoma bodies and a whorled pattern of tumor cells are somewhat characteristic. In contrast, Antoni A areas with Verocay bodies are seen in schwannomas, endothelial proliferation and serpentine areas of necrosis are seen in glioblastoma multiformes, a "fried-egg" appearance of tumor cells is characteristic of oligodendrogliomas, and true rosettes and pseudorosettes can be seen in medulloblastomas. Meningioma Reference: Robbins & Cotran Pathologic Basis of Disease, 9edition